Lipid in tissue detected by -
1. Oil Red O
2. Muciramine
3. PAS
4. Myeloperoxidase

Correct answer: 1. Oil Red O

Explanation: . Oil Red O